Which of the following is least commonly involved organ system in Hemochromatosis:
1. Liver
2. Skin
3. Joints
4. Eye

Correct answer: 4. Eye

Explanation: Answer is D (Eye): Refer Notes on Hemochromatosis Ocular involvement in Hemochromatosis is unusual but may manifest as Limbal or Diffuse Conjunctival pigmentation Liver is usually first organ to be affected and hepatomegaly is seen in 95% of .symptomatic patients. Skin involvement (Bronzing of skin) is present in 90% of symptomatic patients. Joint involvement (Arthropathy) develops in 25-50% of patients.